Breast milk is known to transmit -
1. Tuberculosis
2. CMV
3. Varicella
4. Rubel la

Correct answer: 2. CMV

Explanation: Ans. is 'b' i.e., CMV o Breast milk transmits (with definitive evidence) --> 1) HIV 2) CMV o Breast milk can rarely transmit --> 1) HTLV - type 1 2) Rubella virus 3)HBV 4) HSV